Normal blood flow at term uterus -
1. 100-200ml/min
2. 300-400ml/min
3. 400-500ml/min
4. 500-750 ml/min

Correct answer: 4. 500-750 ml/min

Explanation: Ans. is 'd' i.e., 500-750 mL/min Regional distribution of blood flowo Uterine blood flow is increased from 50 ml per minute in non-pregnant state to 750ml near term. Pulmonary blood flow is increased by 2500 ml /min renal blood flow increases by 400mL,,min. The blood flow through skin and mucous membrane increases by 500mL''min.